29 years female, G2 P1 A1 with 16 weeks amenorrhoea, lower abdominal pain and vaginal bleeding, ultrasonography shows snow storm appearance. What is the most feasible method of treatment
1. Misoprostol administration
2. Hysterectomy
3. Mifepristone
4. Suction evacuation

Correct answer: 4. Suction evacuation

Explanation: Ans. D. Suction evacuation 29 yrs female with amenorrhea of 16 week with lower abdominal pain and vaginal bleeding and snow storm appearance on USG gives us a diagnosis of hydatidiform mole.The most preferred definitive treatment in case of hydatidiform mole in almost all cases is suction evacuation.It can be easily done upto 28 week of gestation.In favourable cervix suction evacuation is done with a negative pressure of 200 - 250 mm Hg.The cervix is closed prior dilatation isfollowed by suction and evacuation.